Most common viral disease affecting parotid glands
1. Mumps
2. Measles
3. Rubella
4. varicella

Correct answer: 1. Mumps

Explanation: Mumps is characterised by non suppurative enlargement and tenderness of one or both the parotid glands Reference: Park's Textbook of Preventive and Social medicine; 24th edition; Page no.162